Graft survival in the initial 48 hours depends on
1. Plasma imbibition
2. Ingrowth of capillaries
3. Development of lymphatics
4. Saline dressing

Correct answer: 1. Plasma imbibition

Explanation: The grafts will survive transfer based on a defined sequence of events that culminates in vascular independence. These events are (1) Serum imbibition--direct absorption of nutrients from recipient capillary beds that generally takes place in the first 24 hours(2) Inosculation--the connecting of donor and recipient vessels that typically begins in the 24 to 72hour period(3) Angiogenesis--vascular ingrowth of vessels from the recipient bed into the graft that starts after 72 hours. Factors that interrupt this process--such as fluid collection under the graft or mechanical shear forces--will compromise the graft take